Which of the following statements is/are false about ostium secundum ASD –a) Fixed splitting of 2nd heart soundb) Narrow splitting of 2nd heart soundc) Lt axis deviation in ECGd) Shunt murmur prominente) Rt axis deviation
1. bcd
2. acd
3. ac
4. bd

Correct answer: 1. bcd

Explanation: In ASD S2 is fixed and wide split (not narrow split)
Ostium secundum type of ASD is associated with Right axis deviation.
Because the pressure difference between two atria is small, blood passes at a narrow pressure difference → No shunt murmur.